'Onion Skin' appearance of radiographs is seen in
1. fibrous dysplasia
2. osteosarcorna
3. Ewing's sarcoma
4. Chondrosarcoma

Correct answer: 3. Ewing's sarcoma